Prophylaxis for migraine -
1. Sumitriptan
2. Amytriptiline
3. Nifidipine
4. Diazepam

Correct answer: 2. Amytriptiline